Oblique view is required for the diagnosis of
1. Capitates
2. Scaphoid
3. Navicular
4. Hamate

Correct answer: 2. Scaphoid

Explanation: Scaphoid fractureMC carpal bone to get fracturedMC in young adults MOA - Fall on an outstretched hand Fracture occurs through the waist of the scaphoid Best view to diagnose scaphoid fracture - X-ray Oblique view Rx - Glass holding cast applied in dorsiflexion and radial deviation Complications - Avascular necrosis, delayed or non-union and osteoarthritis of the wrist (Refer: Mohindra's Fundamentals of Orthopedics, 2nd edition, pg no. 99, 100)